Which of the following is NOT a type of mesenteric cyst:
1. Mesothelial
2. Enterogenous
3. Chylolymphatics
4. Epidermoid

Correct answer: 4. Epidermoid

Explanation: Ans. (d) EpidermoidRef: Schwartz 9th ed/1277, Sahiston 19th ed. /1104-05Types of mesenteric cystFeatures* Chylolymphatic cystMC age for mesenteric cyst-2nd decade of life* Simple (mesothelial cyst)MC in womenC/F: painless abdomen swelling>recurrent attack of abdomen pain without* Enterogenousvomiting>acute abdomen(torsion,rupture, hrage,infection)* Urogenital remnant* DermoidDiagnosis of mesenteric cystCT scan is IOCUSG-helpful Chylolymphatic mesenteric cystMe type* Arise from misplaced lymphatic tissue* MC at mesentry of ileum* Thin walled,with clear fluid(pic above)* Unilocular,solitary* Blood supply independentTreatment of choice-Chylolymphatic- EnucleationEnterogenous- Resection and anastomosis